The drug used in the management of medullary carcinoma thyroid is
1. Cabozantinib
2. Rituximab
3. Tenofovir
4. Anakinra

Correct answer: 1. Cabozantinib

Explanation: Ans.is 'a' i.e., Cabozantinib Medullary thyroid cancers (MTCs) are neuroendocrine tumors of thyroid paraf011icular cells that do not concentrate iodine. The primary treatment for MTC is extensive and meticulous surgical resection. There is a limited role for external-beam radiotherapy. For patients with asymptomatic metastatic tumors generally less than 1 to 2 cm in diameter, growing in diameter less than 20 percent per year Systemic therapy is not required Such patients should be monitored for disease progression. Known sites of metastatic disease should be imaged by CT or MRI every 6 to 12 months, and potential new sites of disease should be imaged every 12 to 24 months. For patients with metastatic tumors at least 1 to 2 cm in diameter, growing by at least 20 percent per year, or Or patients with symptoms related to multiple metastatic foci that cannot be alleviated with surgery or external beam radiotherapy Administer systemic treatment as part of a clinical trial. Forpatients with metastatic tumors at least I to 2 cm in diameter, growing by at least 20 percent per year, or for patients with .symptoms related to multiple metastatic foci who cannot participate in a clinical trial An oral tyrosine kinase inhibitor (TKI) is suggested, rather than traditional cytotoxic chemotherapy. For initial TKI therapy Cabozantinib or vandetanib rather than sorafenib or sunitinib. Cytotoxic chemotherapy, of which dacarbazine-based regimens such as cyclophosphamide-vincristinedacarbazine are preferable, is an alternative option for patients who cannot tolerate or who fail multiple TKIs Drugs used in medullary carcinoma thyroid Tyrosine kinase inhibitors Cvtotoxic chemotherapy Cabozanitib Cyclophosphamide Vandetanib Vincristine Sorafenib Dacarbazine Sunitinib